Total live birth / women in reproductive age is -
1. General fertality rate
2. Birth rate
3. General marital fertality rate
4. None

Correct answer: 1. General fertality rate

Explanation: Ans. is 'a' i.e., General fertality rate Birth rate =Number of live birth during the yr.------------------------------Estimated mid yr. PopulationX 1000 GFR =Number of live births in an area------------------------------Mid year female population age 15-44 (or 49) in the same area in same yearx 1000 GMFR =No. of live births in a year------------------------------Mid year married female population in the age group 15-49 yearx 1000